latrogenic traumatic facial nerve palsy is most commonly caused during:
1. Myringoplasty
2. Stapedectomy
3. Mastoidectomy
4. Ossiculoplasty

Correct answer: 3. Mastoidectomy

Explanation: Other Operations where Facial Nerve may be Damaged- Stapedectomy- Removal of acoustic neuroma